Rigler's triad is a feature of
1. Post laparotomy obstruction
2. Gall stone Ileus
3. Carcinoma Head of Pancreas
4. Barotrauma

Correct answer: 2. Gall stone Ileus

Explanation: Ans. (b) Gall stone IleusRef: Sabiston 20th edition page 1506Rigler's Triad is seen in gall stone ileus:* Tumbling obstruction of small intestine* Pneumobilia* Cholecysto Enteric fistulaMost common in old ageObstruction most common in terminal ileum